Precursor of tyrosine is:
1. Cysteine
2. Histidine
3. Tryptophan
4. Phenylalanine

Correct answer: 4. Phenylalanine

Explanation: Phenylalanine in the presence of phenylalanine hydroxylase forms tyrosine . So precursor for tyrosine is phenylalanine Extra Information: Enzyme Disease Phenylalanine hydroxylase Classical phenylketonuria or PKU-1 Dihydrobiopterin reductase Non-classical PKU type 2 & 3 GTP-Cyclo hydrolase Non-classical type 4 or 5